Maximum collagen in wound healing is seen at which stage of healing
1. End of first week
2. End of second week
3. End of third week
4. End of 2months

Correct answer: 3. End of third week

Explanation: ref Robbins 9/ep106-108 When the levels of collagen production and degradation equalize, the maturation phase of tissue repair is said to have begun. During maturation, type III collagen, which is prevalent during proliferation, is replaced by type I collagen.Originally disorganized collagen fibers are rearranged, cross-linked, and aligned along tension lines. The onset of the maturation phase may vary extensively, depending on the size of the wound and whether it was initially closed or left open, ranging from approximately 3 days to 3 weeks. The maturation phase can last for a year or longer, similarly depending on wound type.